Pressure diuresis lowers arterial pressure because it?
1. Lowers blood volume
2. Lowers renal release of renin
3. Lowers systemic vascular resistance
4. Causes renal vasodilation

Correct answer: 1. Lowers blood volume

Explanation: Ans. A Lowers blood volume* Pressure diuresis lowers arterial pressure by lowering blood volume and, thereby, lowering cardiac output.* All of the other choices do lower arterial pressure, but are not caused by pressure diuresis.